Extensive abrasions are found on the body of a person lying by the road side. Most probable cause is:
1. Knife injury
2. Hanging ligature injury
3. Drowning injury
4. Graze or impact injury

Correct answer: 4. Graze or impact injury

Explanation: Ans. D i.e. Graze or impact injury